Lymphatic drainage of Umbilicus:
1. To the axillary LN only
2. To the inguinal LN only
3. Both axillary and inguinal LN
4. To Coeliac group

Correct answer: 3. Both axillary and inguinal LN

Explanation: C. i.e. To axillary and Inguinal L.N.